Poly 'A' tail attached at 31 end of mRNA helps in-
1. Unwinding of mRNA
2. Stabilization of mRNA
3. Polymerization of mRNA
4. Transcription of mRNA

Correct answer: 2. Stabilization of mRNA

Explanation: Ans. is 'b' i.e., Stabilization of mRNA o At the 51-end, mRNA possesses a 7-methylguanosine triphosphate cap which helps in the recognition of mRNA in protein biosynthesis and it helps to stabilize the mRNA by preventing attack of 51'-exonuclease.o At its 31-end. there is a poly-A tail made up of several adenylate residues which stabilize mRNA by preventing attack of 31-exonuclease.